The most common organism amongst the following that causes acute meningitis in an AIDS patients is a-
1. Streptococcus pneumoniae
2. Streptococcus agalactiae
3. Cryptococcus neoformans
4. Listeria monocytogenes

Correct answer: 3. Cryptococcus neoformans

Explanation: C. neoformans infection - most common in patients with advanced HIV infection with CD4 T-cell counts < 200/ml Meningitis in Neonates or infants of 0-2 months: Escherichia coli > Group B streptococcus (S. agalactiae) > Listeria monocytogenes Overall Aseptic meningitis: Cryptococcus neoformans.. Capsular antigen detection from CSF or serum by latex agglutination test is a rapid and sensitive (95%).